Lipid soluble plasma membrane associated antioxidant?
1. Ubiquitin
2. Vitamin E
3. Vitamin C
4. Glutathione

Correct answer: 2. Vitamin E

Explanation: Ans. is 'b' i.e., Vitamin E"Alpha-tocopherol is the only lipid soluble, chainbreaking antioxidant present in biological membranes".